Primary site of infection in cryptococcosis is?
1. Adrenal Gland
2. Bone
3. Central nervous system
4. Lung

Correct answer: 4. Lung

Explanation: Primary site of infection in Cryptococcosis is Lung Cryptococcosis - aka European blastomycosis is an acute to chronic disease caused by an encapsulated yeast, C. neoformans. Cryptococcosis is the most common life-threatening fungal disease in patients with AIDS. Various clinical manifestations of cryptococcosis include: Pulmonary cryptococcosis is the first and the most common presentation Chronic meningitis Skin lesions are commonly seen with C.neoformans var. neoformans (serotype D) Osteolytic bone lesions